Follicles are present in which part of lymph nodes ?
1. Red pulp
2. White pulp
3. Cortex
4. Medulla

Correct answer: 3. Cortex

Explanation: Ans. is 'c' i.e., Cortex